Baclofen is:
1. Centrally acting muscle relaxant
2. Peripherally acting muscle relaxant
3. Both centrally and peripherally acting muscle relaxant
4. Direct acting muscle relaxant

Correct answer: 1. Centrally acting muscle relaxant

Explanation: Baclofen is a centrally acting muscle relaxant . Baclofen is primarily used for the treatment of spastic movement disorders, especially in instances of spinal cord injury, cerebral palsy, and multiple sclerosis. Its use in people with stroke or Parkinson's disease is not recommended From padmaja 4th edition Page no 83